Cadaveric spasm involves -
1. Voluntary muscles
2. Involuntary muscles
3. Both voluntary muscles
4. Smooth muscles

Correct answer: 1. Voluntary muscles

Explanation: Cadaveric spasm is the neurogenic contraction of group of voluntary muscles after death. It may be due to failure of chemical muscular relaxation or adrenocortical exhaustion. It is precipitated by emotional stress. Dr. Narayana Reddys Synopsis of Forensic Medicine & Toxicology 27 th edition pg. 81.